All are true statements among the following, except
1. BCG, measles vaccines are censitive to light
2. Hep. B vaccine sensitive to freezing
3. Polio vaccine most sensitive to heat
4. Tetanus vaccine most heat sensitive

Correct answer: 4. Tetanus vaccine most heat sensitive

Explanation: Among the vaccines, polio is the most sensitive to heat, requiring storage at minus 20 degree C. Vaccines which must be stored in the freezer compartment are : polio and measles. Vaccines which must be stored in the COLD PART but never allowed to freeze are : "T series" vaccines (DPT, tetanus toxoid, DT) hepatitis B, BCG, and diluents. Ref : Park 23rd edition Pgno : 109